Hirschprung's disease true are :a) Sometimes found in adultb) Dilated segment involvedc) Auerbach's plexus absentd) Sometimes involve small intestine e) Bleeding PR is usual presentation
1. abc
2. ad
3. acd
4. bde

Correct answer: 3. acd

Explanation: S. Das writes - "The symptoms appear within 3 days of birth and the presenting features are as follows:


Constipation
Abdominal distention"


Nelson writes - "The clinical symptoms of Hirschprung disease usually begin at birth with the delayed passage of meconium."
Loud borborygmi is heard due to intestinal obstruction.
About stool Nelson writes -

"The stools when passed may consist of small pelletes, may be ribbon-likel or may have fluid consistency; the large stools and fecal soiling of patients with functional constipation are absent."

Also know


a large fecal mass may be palpable in the left lower abdomen, but on rectal examination the rectum is usually empty of feces (feces in rectum are found in functional constipation).